Phobia is:
1. Psychosis
2. Fear of animal
3. Mood disorder
4. Neurosis

Correct answer: 4. Neurosis

Explanation: Ans:D-NeurosisPhobias are classified under anxiety disorders which are most common of all the neurotic stress related disorders.Most common among the phobias are specific phobias which are of 5 types according to DSM-5.They are:Natural Environment typeAnimal typeBlood-Injection-Injury typeSituational typeOthers